Which of the following is NOT a risk factor for endometrial carcinoma?
1. Obesity
2. Nulliparity
3. Smoking
4. Tamoxifen

Correct answer: 3. Smoking

Explanation: Endometrial carcinoma:- Type I Type II Age - 55-65 yr - 65-75 yr Finding -Endometrial Hyperplasia - Endometrial Atrophy Risk -E- Estrogen -N-Nulliparity -D-DM/Drugs(Tamoxifen) -O-Obesity - Atrophy - Thin Physique Behavior - Indolent - Spreads lymphatic - Aggressive - Intraperitoneal and lymphatic